Which of the following ligament connects cervix to lateral pelvic wall?
1. Pubocervical ligament
2. Transverse cervical ligamnent
3. Uterosacral ligament
4. A part of broad ligament

Correct answer: 2. Transverse cervical ligamnent

Explanation: the transverse cervical ligaments - the transverse cervical ligaments are also known by various other names like lateral cervical ligaments; cardinal ligaments; paracervical ligaments; retinacula uterior sustent-aculum of Bonny. These are fan-shaped condensations of the pelvic fascia on each side of the cervix above the levator ani and around the uterine vessels. They connect the lateral aspects of the cervix and of the upper vaginal wall to the lateral pelvic wall, about 2.5 cm ventraJ to the ischial spine. They form a 'hammock' that supports the uterus. ref : B D Chaurasia's Human Anatomy , seventh edition , volume 2 , pg. no. 425